Irregular radiolucent area related to apex of a non-vital teeth could be:
1. Chronic PA abscess
2. PA cyst
3. PA granuloma
4. Early osteomyelitis

Correct answer: 1. Chronic PA abscess